Steinstrasse is -
1. Staining of stones
2. Stones because of stress
3. Failure of ESWL
4. Ureteric obstruction due to fragments in ureter

Correct answer: 4. Ureteric obstruction due to fragments in ureter

Explanation: Ans. is 'd' i.e., Ureteric obstruction due to fragments in ureter